Bruxism is mainly due to
1. Psychological stress
2. Diabetes
3. Functional grinding of teeth
4. None of above

Correct answer: 1. Psychological stress